Immediate treatment of hypercalcemia of malignancy is:
1. IV fluids
2. Bisphosphonates
3. Calcitonin
4. Glucocorticoids

Correct answer: 1. IV fluids

Explanation: Ans. (A) IV fluids(Ref: Harrison 19th/610; KDt 8/e p370)Management of hypercalcemia of malignancyDrug of choiceBisphosphonatesImmediate treatmentIV fluids with furosemideFastest calcium lowering drugCalcitonin